Female treated for Urinary tract infection now has vaginal discharge. The most likely organism is?
1. Ureaplasma urealyticum
2. Candida
3. Chlamydia
4. Trichomonas

Correct answer: 2. Candida

Explanation: Vaginal yeast infections occur when new yeast is introduced into the vaginal area, or when there is an increase in the quantity of yeast already present in the vagina relative to the quantity of normal bacteria. For example, when the normal, protective bacteria are eradicated by antibiotics (taken to treat a urinary tract, respiratory, or other types of infection) or by immunosuppressive drugs, the yeast can multiply, invade tissues, and cause irritation of the lining of the vaginaRefer: Shaw's Textbook of Gynaecology, 15th edition, pg no: 146